Most important amino acid which acts as methyl group donor-
1. Cysteine
2. Methionine
3. Tyrosine
4. Tryptophan

Correct answer: 2. Methionine

Explanation: Ans. is 'b' i.e., Methionineo Methionine is activated into S-adenosylmethionine, which then transfers its methyl group to an acceptor. Thus methionine acts as methyl donor in transmethylation reactions.o Some of the important transmethylation reactions are-i) Norepinephrine - Epinephrineii) Phosphatidylethanolamine - Phosphatidylcholineiii) Gunaidoacetate - Creatineiv) Ethanolamine - Cholinev) Acetyl serotonin - Serotoninvi) Nucleotides - methylated nucleotides